Common sites for mongolian spot are –a)  Faceb)  Neckc)  Lumbosacral aread)  Lege)  Thigh
1. abd
2. cde
3. bde
4. ade

Correct answer: 2. cde

Explanation: Mongolian spots are blue or slate - gray macular lesions which occur most commonly in pre-sacral area (mainly in lower back & buttocks) but may be found over the posterior thighs, legs, and shoulders.